Most common cause of Heridetary Spherocytosis is:
1. Spectrin
2. Glycophyrin
3. Ankyrin
4. Band 4

Correct answer: 3. Ankyrin

Explanation: Ankyrin